The following drugs cause methemoglobinemia :
1. Aniline
2. Dapsone
3. Nitrates
4. All of the above

Correct answer: 4. All of the above